A child was treated for H. Influenza meningitis for 6 month. Most important investigation to be done before discharging the patient is:
1. MRI
2. Brainstem evoked auditory response
3. Growth screening test
4. Psychotherapy

Correct answer: 2. Brainstem evoked auditory response

Explanation: H. Influenza Type Meninigtis It is frequent in children between the ages of 3 and 12 months. Residual auditory deficit is a common complication. - Ghai 6th/ed Since, residual auditory deficit is a common complication of H. influenza meningitis, audiological test to detect the deficit should be performed before discharging any patient suffering from H. influenza meningitis. In children best test to detect hearing loss is brainstem evoked auditory response.